Late metabolic acidosis in newborns are caused due to feeding of which formula:
1. Whey predominant
2. Casein predominant
3. Both of the above
4. None of the above

Correct answer: 2. Casein predominant

Explanation: Casein dominant formulas or cow's milk has higher concentration of aromatic acids like tyrosine and phenylalanine that may lead to late metabolic acidosis. Ref: Nutrition and Child Development, K.E. Elizabeth, 4th edition pg: 26